Gastric secretion is :
1. Inhibited by curare
2. Stimulated by nor adrenaline
3. Increased by stomach distention
4. Stimulated by an increase in tonic activity

Correct answer: 3. Increased by stomach distention

Explanation: C i.e. Increased by stomach distension